Sterilization control used in membrane filters is
1. B pumilis
2. B stereo thermophilus
3. C tetani
4. Brevundimonas diminuta

Correct answer: 4. Brevundimonas diminuta

Explanation: Sterilization control for membrane filters is Brevundimonas diminuta and sarratia marcescens.